Slapped cheek appearance is caused by -
1. Parvo virus
2. Measles
3. Rubella
4. HHV-6

Correct answer: 1. Parvo virus

Explanation: Ans. is 'a' i.e., Parvo virus DiseaseI.P.ProdromeRashOther diagnostic featureo Roseola Infantum (6th disease) caused byHHV-610-14 daysFever (3-4 days)o Pink macular rash appearing at the end of illness,o Resolves within 2 dayso It spares the faceo Usually occur in children between 2-6 yrs. of ageRubella14-21 daysUsually Noneo Mild maculo popular Rash, Rapidly spreads and gone by day 4o Postauricular & sub- occipital adenopathyo PolyarthralgiaErythema infectiosum (Fifth disease) caused by Parovirus13-18 daysNoneo Slapped cheek appearanceo Reticular rash that waxes & wanes over 3 wkso In 50% children rash remains after 10 dayso May cause Aplastic crisisMeasles10-14 dayFever (4 days)o Maculopapular rash begins behind ear and spread rapidly in a few hour over the face and neck extends down the body rash lasts for 1 weeko Koplik test